Profunda femoris artery at its origin lies on which side of the femoral artery ?
1. Medial
2. Lateral
3. Posterior
4. Posteromedial

Correct answer: 2. Lateral

Explanation: Ans. is 'b' i.e., LateralProfunda femoris artery arises from lateral side of femoral artery about 4 cm below the inguinal ligament.